Double stranded RNA virus with segmented genome?
1. Influenza
2. Rotavirus
3. Arenavirus
4. Bunyavirus

Correct answer: 2. Rotavirus

Explanation: Ans. is 'b' i.e., Rotavirus